Which of the following is not present in saliva:
1. Lysozyme
2. Phosphate
3. Bicarbonate
4. Trypsin

Correct answer: 4. Trypsin